Maximum HIV transmission risk to fetus is during-
1. In utero
2. During breast feeding
3. During child birth by vaginal delivery
4. During child birth by cesarean section

Correct answer: 3. During child birth by vaginal delivery

Explanation: Ans. is 'c' i.e., During child birth by vaginal delivery HIV transmission during pregnancy:o Vertical transmission of HIV in neonates is about 14 - 25%.o Transplacental (vertical) transmission occurs in# 20% of patients before 36weeks# 50% of patients during delivery# 30% in peripartum